All are effective against Tinea versicolor except :
1. Fluconaozole
2. Clotrimazole
3. Ketoconazole
4. Griseofulvin

Correct answer: 4. Griseofulvin